When the dental arch or part of it is farther away from the FH plane; the deviation is termed as:
1. Attraction
2. Abfraction
3. Abstraction
4. Deviation

Correct answer: 3. Abstraction

Explanation: Vertical deviations with respect to the FH plane are:

Attraction: When the dental arch or part of it is closer to the Frankfort horizontal plane, it is referred to as attraction.
Abstraction: When the dental arch or a part of it is farther away from the Frankfort horizontal plane, it is referred to as abstraction.

Ref: Textbook of orthodontics Gurkeerat Singh 2nd ed page no 169